Bowel can get strangulated in all of the following space except -
1. Rectouterine pouch
2. lleocolic recess
3. Paraduodenal recess
4. Omental bursa

Correct answer: 1. Rectouterine pouch

Explanation: Ans. is 'a' ie Recto-uterine pouch